Radiocontrast is contraindicated in all except -
1. Renal failure
2. Patient on metformin
3. Dehydration
4. Obesity

Correct answer: 4. Obesity

Explanation: Important risk factors for contrast induced nephropathy (CIN) : Renal failure Diabetes Hypertension Dehydration Patient on metformin Hyperuricemia